Rotator cuff is/are formed by all except
1. Supraspinatus
2. Infraspinatus
3. Teres minor
4. Teres major

Correct answer: 4. Teres major

Explanation: Rotator cuff or musculotendinous cuff is formed by subscapularis , supraspinatus , teres minor and infraspinatus. These muscles blend with the capscule of the shoulder joint and strength it. These muscles arise from scapula and get inserted into the lesser and greater tubercles of humerus. REF:B D Chaurasia 7th edition Page no : 73 Figure 5.11, page no:67 Textbook of anatomy: upper limb ,vishram Singh